Desynchronised defibrillation is used to -
1. Atrial fibrillation
2. Atrial flutter
3. SVT
4. Ventricular fibrillation

Correct answer: 4. Ventricular fibrillation

Explanation: Desynchronised defbrilation is used for cardiac arrest caused by ventricular fibrillation.The precise timing is not important.the energy of the first and second shock should be 150 joules and 200 joules respectively. Ref Harrison 20th edition pg 1554